Which of the following markers is specific for Gastro intestinal stromal tumors (GIST)?
1. CD 117
2. CD 34
3. CD 23
4. S-100

Correct answer: 1. CD 117

Explanation: CD 117 is most specific marker for Gastrolintestinal stromal tumor, than CD 34. GIST has a universal expression of CD117. It can also be present in fibroblastic and endothelail tumors. Ref: M. Wasif Saif (2010), Chapter "Gastrointestinal Stromal Tumors", In the book, "Gastrointestinal Malignancies", Volume 1, Issue 1, USA, Page 152; Robbin's Basic Pathology, 7th Edition, Page 826; Oncology: An Evidence Based Approach, (2006), Pages 413-14; Sternberg's-Diagnostic Surgical Pathology, 4th Edition, Page 1590